The area is declared free of epidemic
1. No new case reported for twice the incubation period of disease since the last case
2. No new case reported for the incubation period of disease since the last case
3. Till last secondary case recovers
4. No new case reported for six months since the last case

Correct answer: 1. No new case reported for twice the incubation period of disease since the last case

Explanation: Investigation of an Epidemic:
– To define magnitude or involvement (time, place, person)
– To determine responsible conditions and factors
– To identify causes, source(s) and modes of transmission
– To make recommendations to prevent reoccurrence.